Which one of the following structures is not enclosed by the carotid sheath?
1. Internal jugular vein
2. Carotid artery
3. Vagus nerve
4. Cervical sympathetic chain

Correct answer: 4. Cervical sympathetic chain

Explanation: The cervical sympathetic chain lies behind the carotid sheath,plastered to the prevertebral fascia. The contents of carotid sheath are common or internal carotid arteries,internal jugular vein and the vagus nerve. Notes:In the upper part of sheath there are IX,XI,XII nerves also . These nerves pierce along with the external carotid artery. REF.BDC VOL.3,sixth edition pg 85